True about hyaline cartilage:
1. Hyaline cartilage covers the articular surface of Synovial joints.
2. Hyaline cartilage is present in all synovial joints
3. Articular cartilage may undergo ossification with aging
4. Articular cartilage limits the mobility of the joint

Correct answer: 1. Hyaline cartilage covers the articular surface of Synovial joints.

Explanation: A i.e. Hyaline cartilage covers the articular surface of synovial joint- Articular cartilage is devoid of nerves, blood vessels, perichondrium & ossification. Articular cartilage is devoid of perichondrium & there is no ossification. Articular cartilage is devoid of nerve & vessels.Articular cartilage of most (not all) synovial jointsQ, costal cartilage, thyroid/cricoid/ arytenoids - cartilage, tracheal rings, nasal septum & lateral wall of nose and epiphyseal plate are lined by hyaline cartilageArticular cartilage covers the articular surface & provide extremely smooth surface, for frictionless movement. Articular cartilage provide smooth surfaces between which there is very little friction; it also acts as shock absorber. Cells of articular cartilage divide by mitosis. Progressive loss of superficial cells is probably replaced by cells from deeper surfaces (Not confirmed). Nutrition of articular cartilage is derived from 3 Sources - hypochondrial vessels (of medullary cavity), vessels of synovial membrane & synovial fluid